The most generally accepted treatment of root fracture
in the apical third of a maxillary central incisor involves
1. Splinting with orthodontic bands and a sectional arch wire
2. Frequent pulp testing and radiographic examination
3. Extraction of the tooth
4. Immediate pulp extirpation

Correct answer: 2. Frequent pulp testing and radiographic examination